Nerve liable to get injured on removing the fish bone from pyriform fossa:-
1. Superior laryngeal nerve
2. Internal laryngeal nerve
3. External laryngeal nerve
4. Recurrent laryngeal nerve

Correct answer: 2. Internal laryngeal nerve

Explanation: Pyriform fossa is located on the side of epiglottis. It is supplied by Internal laryngeal nerve. Hence this nerve is liable to get injured while removing a fish bone from pyriform fossa. .